Which type of thyroid carcinoma is classically associated with calcitonin induced amyloid deposition?
1. Papillary
2. Follicular
3. Anaplastic
4. Medullary

Correct answer: 4. Medullary

Explanation: Calcitonin induced amyloid deposits are seen in medullary carcinoma of thyroid. It is a neuroendocrine neoplasm derived from parafollicular cells or C cells of thyroid. They secrete calcitonin whose measurement is used in diagnosis and post operative follow up. Immuno histochemical methods are used for the demonstration of calcitonin in stroma. REF Ref: Robbins and cotrans 9e Pg 1099